True about national program for prevention and control programme of cancer, diabetes, cardiovascular diseases and stroke is ?
1. Home based care is not given
2. Implementation in some 5 states over 10 districts
3. Separate centre for storke, DM
4. CHC has facilities for diagnosis and treatment of CVD diabetes

Correct answer: 4. CHC has facilities for diagnosis and treatment of CVD diabetes

Explanation: Ans. is 'd' i.e., CHC has facilities for diagnosis and treatment of CVD diabetes